The best method of sterilization of dusting powder is-
1. Autoclaving
2. Hot air oven
3. Inspissation
4. Tyndallization

Correct answer: 2. Hot air oven